Developmentally stomodeum is separated from the pharynx dorsally by:
1. Pharyngeal arch
2. Buccopharyngeal membrane
3. Rathke's pouch
4. Mandibular process

Correct answer: 2. Buccopharyngeal membrane